Febrile seizure persisting continuously beyond ____ should be treated with midazolam nasal spray:
1. 3 minutes
2. 5 minutes
3. 8 minutes
4. 10 minutes

Correct answer: 2. 5 minutes

Explanation: Febrile seizure persisting continuously beyond 5 minutes should be treated with midazolam nasal spray